Which of the following fascia extends from rectum to prostate?
1. Fascia of waldeyer
2. Denonvilliers fascia
3. Colles fascia
4. Pelvic floor

Correct answer: 2. Denonvilliers fascia

Explanation: This question require the knowledge of structures which give support to rectum. Supports of rectum:Rectovesical fascia of denonvilliers: Extends from rectum behind to the seminal vesicles and prostate in front.Fascia of waldeyer: Attaches lower part of rectal ampulla to sacrum. It is the condensation of pelvic fascia and contains superior rectal vessels and lymphatics.Pelvic floor and levator aniLateral ligament of rectumPelvic peritoneum Ref: BDC 4/e, Vol 2, page 380